Not a rate limiting enzyme -
1. PFK
2. HMG CoA reductase
3. HMG CoA synthase
4. Aldolase

Correct answer: 4. Aldolase

Explanation: Ans. is 'd' i.e., Aldolase ReactionsRate limiting enzymesGlycolysisPhosphofructokinaseGlycogen synthesisGlycogen symthetaseGlycogenolysisGlycogen phosphoiylaseTCA cyclelsocitrate dehydrogenaseFatty acid synthesisAcetyl CoA carboxylaseCholesterol synthesisHMG CoA reductaseKetone body symthesisHMG CoA synthaseBile acid synthesis7-a-hydroxylaseCatecholamine synthesisTyrosine hydroxylaseUrea synthesisCarbamoyl transferase